Fat necrosis is seen in?
1. Breast
2. Brain
3. Kidney
4. Spleen

Correct answer: 1. Breast

Explanation: Ans. a (Breast). (Ref. Robbin, Pathology 6th ed., 17, 18 and Bailey & Love, 24th ed., 545)Fat necrosis is seen in breast, acute pancreatitis, etc. It does not denote a specific pattern of necrosis; rather it is focal area of fat destruction, due to release of pancreatic lipase.